Which of the following cell types is thought to function in suppressing the immune response?
1. Inducible T reg cells
2. B cells
3. T memory cells
4. TH cells

Correct answer: 1. Inducible T reg cells

Explanation: The immune response is decreased by inducible T reg cells. They suppress the formation of TH1 cells, thereby suppressing the immune response.